The HLA class3 region genes are important element in
1. Translate rejection phenomenon
2. Governing susceptibility to autoimmune disease
3. Immune surveillance
4. Antigen presentation and elimination

Correct answer: 2. Governing susceptibility to autoimmune disease

Explanation: Ref Robbins 9/e p215 Anantha Narayana 6/e p108 Class III molecules include several secreted proteins with immune functions: components of the complement system (such as C2, C4, and B factor), cytokines (such as TNF-a, LTA, and LTB), and heat shock proteins.